Differential cyanosis is seen in –
1. TGV
2. TAPVC
3. PDA
4. VSD

Correct answer: 3. PDA

Explanation: Differential cyanosis 

When one extremity is pink and the other extremity is cyanotic, it is referred to as differential cyanosis.

Causes of differential cyanosis